Which of the following staging is used for GERD?
1. Ranson
2. Gleason
3. Savary miller
4. Hunter scale

Correct answer: 3. Savary miller

Explanation: Staging Ranson- Acute pancreatitis Gleason- Cancer of Prostate Savary miller- GERD Hunter Scale- SAH severity